All are major criteria for AIDS except-
1. 10% weight loss
2. Diarrhoea for 1 month
3. Cough for 1 month
4. Fever for 1 month

Correct answer: 3. Cough for 1 month